12.killain term is used for which of the following polyp:
1. Ethmoidal
2. Antrochoanal
3. Tonsillar cyst
4. Tonsillolith

Correct answer: 2. Antrochoanal

Explanation: Killian polyp is the name given to antrochoanal polyp based on gustain killians Ref internet search